A 62 year old woman with keratoconjunctivitis sicca is most likely to demonstrate corneal staining in which location?
1. Superior third
2. Middle third (interpalpebral)
3. Inferior third
4. Diffuse over entire cornea

Correct answer: 2. Middle third (interpalpebral)

Explanation: Rose Bengal staining is a very useful test for detecting even mild cases of Kerato conjuctivitis sicca .Depending upon the severity of Kerato conjunctivitis sicca three staining patterns A, B and C have been described: 'C' pattern represents mild or early cases with fine punctate stains in th.e interpalpebral area; 'B' the moderate cases with extensive staining; and 'A' the severe cases with confluent staining of conjunctiva and cornea. Thus the women is most likely to demonstrate staining in interpalpebral area.